In peripheral tissues which of the following contains substance P
1. Plasma cell
2. Mast cell
3. Nerve terminal
4. Vascular endothelium

Correct answer: 3. Nerve terminal

Explanation: Substance P (SP) is an undecapeptide (a peptide composed of a chain of 11 amino acid residues) member of the tachykinin neuropeptide family. It is a neuropeptide, acting as a neurotransmitter and as a neuromodulator. Ref guyton and hall textbook of medical physiology 12/e pg 83